Intussusception is caused by:
1. Submucous lipoma
2. Subfascial lipoma
3. Subserous lipoma
4. Intramural lipoma

Correct answer: 1. Submucous lipoma

Explanation: a. Submucous lipoma(Ref: Nelson's 20/e p 1812-1814, Ghai 8/e p 287)Predisposing conditionsPeyer's patches or prominent mounds of lymph tissue lead to mucosal prolapse of ileum into colon;Other lead points: Meckel diverticulum, intestinal polyp, neurofibroma, intestinal duplication cysts, hamartomas, ectopic pancreatic tissue, hemangioma, lipomaClinical featuresSudden onset of severe paroxysmal colicky pain in a previously well child, that recurs frequently60% infants pass a stool containing red blood and mucus, the currant jelly stoolVomiting occurs in most cases and is usually more frequently in the early phase.